Which of following drug's absorption is increased in gastric achlorhydria ?
1. Ketoconazole
2. Penicillin G
3. Chloramphenicol
4. Ciprofloxacin

Correct answer: 2. Penicillin G